HIV affects?
1. B-cells
2. Helper T cells
3. Suppressor T-cells
4. Cytotoxic T-cells

Correct answer: 2. Helper T cells

Explanation: Ans. (b) Helper T cells(Ref: Robbins 9th/pg 246-249)gp120 receptors on HIV binds to host cell receptors (CD4) on QT-Lymphocytes (helper T cells)MacrophagesDendritic cellsOther Antigen presenting cells